Commonest intramedullary spinal tumour is?
1. Secondaries
2. Neurofibroma
3. Ependymoma
4. None of the above

Correct answer: 3. Ependymoma

Explanation: Ans. is 'c' i.e., Ependymoma